All of the following are adverse affects of sodium valproate EXCEPT:
1. Weight gain
2. Alopecia
3. Liver damage
4. Osteomalacia

Correct answer: 4. Osteomalacia

Explanation: heart burn are common . Drowsiness, ataxia and tremor are dose-related side effects. However, cognitive and behavioral effects are not prominent. Alopecia, curling of hair and increased bleeding tendency have been observed. Rashes and thrombocytopenia are infrequent hypersensitivity phenomena. Asymptomatic rise in serum transaminase is common; monitoring of liver function is advised. A rare but serious adverse effect is fulminant hepatitis; occurs only in children (especially below 3 yr). Those with hepatic disease or who receive other anticonvulsant or hepatotoxic drug are at greater risk. Pancreatitis is also reported. Long-term use of valproate in young girls has been associated with higher incidence of polycystic ovarian disease and menstrual irregularities. Used during pregnancy, it has produced spina bifida and other neural tube defects in the offspring; should be avoded Ref: KD TRIPATHI 8thh ed. pge 419